True about heart disease in pregnancy
1. In Mitral Stenosis surgery better avoided in pregnancy
2. Mitral Regurgitation - Definite indication for termination of pregnancy
3. Aortic stenosis in old age is due to Bicuspid valve
4. Termination of pregnancy advised in NYHA class II

Correct answer: 1. In Mitral Stenosis surgery better avoided in pregnancy

Explanation: Mitral stenosis : Cardiac surgery is best done before pregnancy; If needed Balloon valvuloplasty is the preferred procedure in second trimester MR is well tolerated in pregnancy because the decreased systemic vascular resistance results in less regurgitation Aortic stenosisis essentially a disease of ageing and hence rare in pregnancy unless associated with congenital lesion like bicuspid aortic valve Termination of pregnancy advised in NYHA class 3 and 4 Reference: Textbook of Obstetrics; Sheila Balakrishnan, 2nd edition; Page no: 236